The most common ligament injured around ankle joint is
1. Anterior talofibular
2. Deltoid ligament
3. Posterior talofibular
4. Spring ligament

Correct answer: 1. Anterior talofibular

Explanation: A i.e. Anterior Talofibular The most common site of ligament injury is ankle jointQ. The most common mode of ankle injury is inversion of planter flexed foot(2. Over 90deg% of the ankle ligament injury involves lateral collateral ligament usually the anterior tibiofibular ligamentQ.